Kamla, a 30 yrs old lady examined for infertility by hysterosalpingography, reveals 'Bead - like' fallopian tube & clubbing of ampulla. Most likely cause is :
1. Gonococcus
2. Mycoplasma
3. Chlamydia
4. Mycobacterium tuberculosis

Correct answer: 4. Mycobacterium tuberculosis

Explanation: Ans. is d i.e. Mycobacterium tuberculosis The following findings on hysterosalpingogram strongly suggest tubercular salpingitis : A rigid nonperistaltic pipe like tube. called lead pipe appearancedeg Beading and variation in filling densitydeg Calcification of the tubedeg Cornual blockdeg A jagged fluffiness of the tuba! outlinedeg Vascular or lymphatic intravasation of the dyedeg Tobacco - pouch seen at naked eye examination. Also Note : * In a proven case of genital tuberculosis, hysterosalpingography is contraindicated as it may spread the infection. In TB Endometritis on HSG : the uterine cavity is shrivelled and obliterated by adhesions. On USG : Incomplete septation of the tubal wall "Cogwheel sign" is a marker for acute disease. Thin wall and beaded string appearance is a marker for chronic disease.